Among the blood cells, the longest life span is that of:
1. Neutrophil
2. Eosinophil
3. Lymphocyte
4. Erythrocyte

Correct answer: 3. Lymphocyte

Explanation: Lymphocytes enter the circulatory system continually, along with drainage of lymph from the lymph nodes and other lymphoid tissue. After a few hours, they pass out of the blood back into the tissues by diapedesis. Then they re-enter the lymph and return to the blood again and again; thus, there is continual circulation of lymphocytes through the body. The lymphocytes have life spans of weeks or  months, depending on the body’s need for these cells.
Reference: GUYTON AND HALL TEXTBOOK OF MEDICAL PHYSIOLOGY, THIRTEENTH EDITION(INTERNATIONAL EDITION ) page no 456